Cholangiography T-tube done after how many days of cholecystectomy:
1. 1-5 days
2. 7-10 days
3. 10-14 days
4. 15-20 days

Correct answer: 2. 7-10 days

Explanation: Cholangiography T-tube done after 7-10 days of cholecystectomy.